A 7-year-old boy is brought by parents with abdominal pain, joint aches, and a rash on his legs and feet. He does not have a history of frequent nosebleeds, easy bruising, or other episodes of abnormal bleeding. What is the most likely diagnosis?
1. Acute urticaria
2. DIC
3. Erythema nodosum
4. Henoch-Schonlein purpura

Correct answer: 4. Henoch-Schonlein purpura

Explanation: Ans. D. Henoch- Schonlein purpura* Henoch- Schonlein purpura (HSP) is a subtype of acute LCV that is seen more commonly in children and adolescents following an upper respiratory infection.* The majority of lesions are found on the lower extremities and buttocks.* Systemic manifestations include fever, arthralgias (primarily of the knees and ankles), abdominal pain, gastrointestinal bleeding, and nephritis.* Direct immunofluorescence examination shows deposits of IgA within dermal blood vessel walls. Renal disease is of particular concern in adults with HSP.